auto-regulation of cerebralblood flow takes place at ?
1. 60-140mmhg
2. >200mmhg
3. <50mmhg
4. <10mmhg

Correct answer: 1. 60-140mmhg

Explanation: Autoregulation Cerebral blood flow is "autoregulated" extremely well between arterial pressure limits of 60 and 140 mm Hg. That is, mean arterial pressure can be decreased acutely to as low as 60 mm Hg or increased to as high as 140 mm Hg without significant change in cerebral blood flow. And, in people who have hypertension, autoregulation of cerebral blood flow occurs even when the mean arterial pressure rises to as high as160 to 180 mm Hg. If the arterial pressure falls below 60 mm Hg, cerebral blood flow then becomes severely decreased. ref : guyton and hall